Which is NOT a TNF-neutralizing agent?
1. Infliximab
2. Etanercept
3. Adalimumab
4. Rituximab

Correct answer: 4. Rituximab

Explanation: Rituximab is an anti CD 20 monoclonal antibody while others are anti TNF alpha agents.